Treatment of choice in severe dehydration is ?
1. Isolyte-P
2. Normal saline
3. Plasma
4. Ringer lactate

Correct answer: 4. Ringer lactate

Explanation: Ans. is 'd' i.e., Ringer lactate